Increase in body temp during ovulation is by -
1. Estrogen
2. Progesterone
3. LH
4. FSH

Correct answer: 2. Progesterone

Explanation: Ans. is 'b' i.e., Progesterone o Ovulation mav be inferred bv measuring the basal body temperature throuehout the menstrual cycle.o Temperature recordings are done on a chart and sustained upward shift of temperature (0.3degrees F for three days) infers that progesterone is being synthesized and released into circulation as a result of ovulation.Test Time ObservationTest for documenting ovulation1. Basal body tempThroughout cycleBiphasic pattern2. Cervical mucusDay 12 - 14 Day 21 -23Cervical mucus is clear watery, stretchabilitv present, derming present Cervical mucus is thick, viscid, tack present, feming absent3. Vaginal cytologyDay 12 - 14Estrogen dominated smears-efear, discrete comifined, polygonal, superficial cells (predominant cells)Day 21-23Progesterone dominanted smear - containing dirty, predominantly intermediate (Navicular) cells4. Endometrial biopsyDay 24 - 26Secretory' endometrium (confirming ovulation)5. Serum progesteroneD8 and D21D - 8 < 1 ng/mi D - 21 > 6 5 ng/ml6. Foil icular monitoringD10- D14Follicle is measured by USG7. LaparoscopySecretory phaseRecent corpus luteum is directly seen